2 year old boy of weight 12 kg with vitamin A deficiency what is oral dose of vitamin A -
1. 50,000 IU
2. 1 Lakh I.U.
3. 1.5 Lakh I.U.
4. 2 Lakh I.U.

Correct answer: 4. 2 Lakh I.U.

Explanation: Ans. is 'd' i.e., 2 lakh I.U. Age Dose of vitamin A (oral) < 6 month 50,000 I.U. 6 Month -12 months 1 Lakh I.U. > 12 months 2 lakh I.U. o 3 doses on day 1, day 2, and day 14 o The parenteral dose is half of the oral dose.